Which of the following is a direct branch of Mandibular nerve
1. Inferior Alveolar Nerve
2. Auriculotemporal nerve
3. Lingual Nerve
4. Nervous spinosus

Correct answer: 4. Nervous spinosus

Explanation: MANDIBULAR NERVEThis is the largest of the three divisions of the trigeminal nerve. It has both sensory and motor fibers. It is the nerve of the first branchial arch and supplies all structures derived from the mandibular or first branchial arch.Branches:From the main trunk: (a) Meningeal branch or Nervous Spinosus and (b) Nerve to the medial pterygoid.From the anterior trunk: (a) A sensory branch, the buccal nerve; and (b) Motor branches, the masseteric and deep temporal nerves and the nerve to the lateral pterygoid.From the posterior trunk: (a) Auriculotemporal; (b) Lingual; and (c) Inferior alveolar nerves.Reference: Chaurasia Head and Neck; 6th edition; Page no: 153